Pulses are deficient in which amino acid -
1. Methionine
2. Lysine
3. Threonine
4. Tryptophan

Correct answer: 1. Methionine

Explanation: Ans. is 'a' i.e., Methionine Food itemLimiting Amino Acids(s)CerealsThreonine (& Lysine)PulsesMethionine (& Cysteine)MaizeTryptophan (& Lysine)